The most common form of fetal traumatic injury incurred during breach extraction is :
1. Rupture of the liver
2. Rupture of the spleen
3. Intraadrenal hemorrhage
4. Intracranial hemorrhage

Correct answer: 4. Intracranial hemorrhage

Explanation: Intracranial hemorrhage